For international comparison stillbirth is applied to fetus weighing more than
1. 1000 gms
2. 1500 gms
3. 700 gms
4. 2800 gms

Correct answer: 1. 1000 gms

Explanation: Ref:Park's Text book of Preventive and Social Medicine 25th ed